C-3 convertase in alternate complement pathway ?
1. C4b2a
2. C3b
3. C3bBb
4. C3a

Correct answer: 3. C3bBb

Explanation: Ans. is 'c' i.e., C3bBb . The central process in the complement cascade (both in classical and alternative pathway) is the activation of C3 by C3-convertase. . In classical pathway C3-convertase is C4b2a and in alternative pathway C3-convertase is C3bBb.